Which vitamin is found as a constituent of Warburg yellow enzyme -
1. B1
2. B2
3. Niacin
4. Pantothen acid

Correct answer: 2. B2